The EEG rhythm having lowest frequency is-
1. Alpha
2. Beta
3. Delta
4. Theta

Correct answer: 3. Delta

Explanation: Ans. C. DeltaThe various types of EEG waveforms are depicted below-